True about Keloid
1. Regresses spontaneously
2. Grows beyond border of wound
3. Precancerous lesion
4. More common men

Correct answer: 2. Grows beyond border of wound

Explanation: "A keloid scar is defined as excessive scar tissue that extends beyond the boundaries of the original incision or wound" Bailey and love 26th edition Pg: 30